Coenzyme for methylmalonyl-CoA isomerase
1. Biotin
2. Cobalamine
3. Thiamine
4. Niacine

Correct answer: 2. Cobalamine

Explanation: Methylmalonyl-CoA mutase is a vitamin B12- dependent enzyme, and in deficiency methylmalonic acid is excreted in the urine (methylmalonic aciduria).Ref: Harpers Illustrated Biochemistry, 30th edition, page no: 187